All of the following are acyanotic congenital heart diseases except –
1. VSD
2. PDA
3. ASD
4. Tetralogy of fallot

Correct answer: 4. Tetralogy of fallot